YAG laser capsulotomy is used in -
1. Retinal detachment
2. Diabetes
3. After- cataract
4. Refractive errors

Correct answer: 3. After- cataract

Explanation: Posterior capsular opacification (after cataract or secondary cataract) is the most common late complication of uncomplicated cataract surgery. Pattern of opacification: the ring of sommerring and the elschnig pearls Treatment involves the creation of an opening in the posterior capsule, termed a capsulotomy, with the Nd: YAG laser. (photodisruption) Ref: kanski's clinical ophthalmology , 8th edition , page no.293